Patient complains of sharp shooting pain in the pharynx ,tonsil.on examination trigger zone is found in the tonsillar area, diagnosis is:
1. Sphenopalatine neuralgia
2. Paratrigeminal neuralgia.
3. Glossopharyngeal neuralgia.
4. Trigeminal neuralgia.

Correct answer: 3. Glossopharyngeal neuralgia.